Succinylcholine is contraindicated in?
1. Hyperkalemia
2. Hypokalemia
3. Hypercalcemia
4. Hypocalcemia

Correct answer: 1. Hyperkalemia

Explanation: Ans. is 'a' i.e., Hyperkalemia * Sch can cause dangerous hyperkalemia in and is contraindicated in:1. Burn, massive trauma, crush injury2. Severe intraabdominal infection (sepsis),3. Spinal cord injury, hemiplegia /paraplagia4. Muscular dystrophy, gb syndrome, rhabdomyolysis, myasthenia gravis,5. Severe parkinsonism, tetanus, polyneuropathy, Closed head injury, stroke, encephalitis.